String of beads appearance on abdominal X-ray is seen in –
1. Small bowel obstruction
2. Large bowel obstruction
3. Carcinoma of stomach
4. Gastric outlet obstruction

Correct answer: 1. Small bowel obstruction

Explanation: String of beads sign is virtually diagnostic of small bowel obstruction.
String of beads in radiology

           Small bowel obstruction
           Chronic pancreatitis
           Fibromuscular dysplasia